Pronator Teres syndrome is related to which nerve:
1. Radial Nerve
2. Ulnar Nerve
3. Median Nerve
4. Axillary Nerve

Correct answer: 3. Median Nerve

Explanation: Ans. C. Median NervePronator teres syndrome is a compression neuropathy of the median nerve at the elbow. Compression of the median nerve in the region of the elbow or proximal part of the forearm can cause pain and/or numbness in the distribution of the distal median nerve, and weakness of the muscles innervated by the anterior interosseous nerve: the flexor pollicis longus, the flexor digitorum profundus of the index finger, and the pronator quadratus.The most common cause is entrapment of the median nerve between the two heads of the pronator teres muscle